OCPs are absolutely contraindicated in:
1. Smoking > 10 cigarettes a day
2. Active liver disease
3. Diabetes mellitus
4. Mild hypertension

Correct answer: 2. Active liver disease

Explanation: Contraindications to combined OCPs: Absolute contraindications Relative contraindications Cancer breast and genitals Liver disease Uterine bleeding (undiagnosed abnormal) Thromboembolism (past or current) Cardiac anomalies Hyperlipidemia (Congenital) [MNEMONIC: CLUTCH) Pregnancy Age > 40 years Age > 35 and smoking Mild hypertension Chronic renal disease Epilepsy Migraine 0-6 months lactating mother Diabetes mellitus Gall bladder disease History of infrequent beeding / amenorrhoea